Pseudomembranous enterocolitis is caused by:
1. Cl. perfringens
2. Cl. welchii
3. Cl. difficile
4. Pseudomonas

Correct answer: 3. Cl. difficile

Explanation: Cl. difficile